Lysine is deficient in -
1. Pulse
2. Wheat
3. Both of the above
4. None of the above

Correct answer: 2. Wheat

Explanation: Pulses are deficient in methionine and cysteine. Wheat us deficient in lysine. REF. PARK'S TEXTBOOK OF PREVENTIVE AND SOCIAL MEDICAL 21ST EDITION. PAGE NO - 580,579